In which model of health education does ‘internalization’ occurs
1. Medical model
2. Socio-environmental model
3. Motivation model
4. Service model

Correct answer: 3. Motivation model

Explanation: Motivation Model of Health education (Adoption Model)
Three stages in process of behavioural change:

Awareness: Interest
Motivation: Evaluation, Decision-making
Action: Adoption, Acceptance

Internalization: New idea/acquired behavior becomes part of own existing values